Water loss of 5fi)-l0ffiml/hour in cholera is know as-
1. Cholera gravis
2. Cholera mitis
3. Cholera majoris
4. Cholera intermedius

Correct answer: 1. Cholera gravis

Explanation: Anwer-Ans. is 'a' i.e., Cholera gravis Vibrio cholera infection manifestations range from asymptomatic to mild diarrhea to severe diarrhea.Massive watery diarrhea (known as cholera gravis) may cause loss of 1000 ml water per hour. This can cause hypotensive shock & death.